What is the treatment for a newborn child with CTEV?
1. Jess fixation
2. Manipulation and strapping or serial cast
3. Posteromedial soft tissue release
4. Triple arthrodesis

Correct answer: 2. Manipulation and strapping or serial cast

Explanation: Ans. is 'b' i.e., Manipulation and strapping or serial cast Treatment of CTEV in new born:o Treatment should begin early, preferably within a day or two of birth (as early as possible or when the newborn presents to the surgeon).o This consists of repeated manipula- tion and adhesive strapping that maintains the correction; the manipulations are taught to the child's mother, who is then able to carry out gentle stretches on a regular basis with the strapping still in place.o Treatment is supervised by a physiotherapist, who alters the strapping as correction is gradually obtained,o If this level of care is not available, it may be better to hold position by applying a light plaster cast (over a protective layer of strapping), which is soaked off and changed every week.